The following drug is contraindicated in bronchial asthma :
1. Propranolol
2. Ipatropium bromide
3. Theophylline
4. Ketotifen

Correct answer: 1. Propranolol